Casals Necklace pattern is seen in
1. Thiamine deficiency
2. Riboflavin deficiency
3. Niacin deficiency
4. All of the above

Correct answer: 3. Niacin deficiency

Explanation: (C) Niacin deficiency # Casal collar or Casal Necklace is a clinical sign in which there is an erythematous pigmented skin rash in the distribution of a broad collar (dermatomes C3 and C4). It is seen in patients with pellagra.